Most common site for ex tranodal lymphoma -
1. Esophagus
2. Stomach
3. Intestine
4. Skin

Correct answer: 2. Stomach

Explanation: Extranodal lymphoma, by definition, involves sites other than lymph nodes, spleen, thymus and the pharyngeal lymphatic ring. Involvement of the spleen in HD is considered as nodal disease but in the case of non-Hodgkin lymphoma (NHL) the spleen is regarded as an extranodal site. Extranodal lymphomas can originate in almost every organ. Data from large series reported in the literature have shown gastrointestinal (GI) tract, skin, bone, and brain to be the most common sites of extranodal lymphoma Ref Davidson 23 Rd edition pg 942